FESS means:
1. Factual endoscopic sinus surgey
2. Functionl endonasal sinus surgery
3. Factual endonasal sinus surgery
4. Functionl endoscopic sinus surgery

Correct answer: 4. Functionl endoscopic sinus surgery

Explanation: Indications ofFESSi) Chronic bacterial sinusitis unresponsive to adequate medical treatment.ii) Recurrentacutebacteridsinusitis.iii) Polypoid rhinosinusitis (diftrse nasal polyposis)'w) Fungal sinusitis with fungal ball or nasal polypi'v) Antrochoanal polyp and Ethmoid polypvi) Mucocele of frontoethmoid or sphenoid sinus.vii) Control of epistaxis by endoscopic cautery.viii) Removal of foreign body from the nose or sinus'ix) EndoscoPicsePtoPlastY.x) Removal of benign tumours, e.g. inveedpapillomas or an$ofibromas.xi) Orbital abscess ot cellulltls nonageme,tt.xii) DacryocYstorhinostomY.:lolii) RepaltofCSFleak,xiv) Pituitarysurgeryxv) Optic nerve decomPression.xvi) Orbitd decompression for Graves disease-xvii) Control ofposterior epistaxis(endoscopicclipping ofsphenopalatine artery).xviii) Choanal atresia.